Which one of the following is not consistent with Aedes aegypti's life cycle -
1. Breeds artificial collection of water
2. Eggs are boat shaped
3. Larva has siphon tube
4. Wings unspotted in the adult

Correct answer: 2. Eggs are boat shaped

Explanation: Features of Aedes: Breeds in the artificial collection of water Eggs are laid singly, cigar-shaped and don't have lateral folds Larvae have a siphon tube Pupae with long and narrow siphon tube Adults have stripes on body and legs Fly up to 100 m Aka Tiger mosquitoes Park's Textbook of Preventive and Social Medicine, 25th Edition, Pg 831